Sensory supply for upper part of right cheek is by
1. Opthalmic nerve
2. Maxillary nerve
3. Mandibular nerve
4. Cervical plexus

Correct answer: 2. Maxillary nerve

Explanation: Maxillary division of trigeminal Nerve supplies Upper lip; side and ala of nose; most of the lower eyelid; upper part of cheek; and anterior part of temple.